Which of the following is a recently approved drug for post partum depression
1. Brexanolone
2. Calpacizumab
3. Solriamfetol
4. Siponimod

Correct answer: 1. Brexanolone

Explanation: The uses of above drugs are:Brexanolone: Post partum depressionCalpacizumab: Thrombotic thrombocytopenic purpuraSolriamfetol: Excessive sleepiness in narcolepsy or sleep apneaSiponimod: Mutliple sclerosis